What is the depth of the anterior chamber?
1. 2.5 to 3.5mm
2. 3.5mmto4.5mm
3. 4.5mm to 5.5mm
4. 5.5 mm to 6.5mm

Correct answer: 1. 2.5 to 3.5mm

Explanation: Ans. is 'a' i.e., 2.5 to 3.5mm o 'The normal depth of anterior chamber of eye is 3.5mm to 2.5mm; less than 2.5mm depth can be risk for angle closure glaucoma.'